Colour of oxygen cylinder is
1. Black body with white shoulder
2. Black body with grey shoulder
3. Grey body with white shoulder
4. Grey body with black shoulder

Correct answer: 1. Black body with white shoulder

Explanation: Refer anesthetic equipments and procedures, Practical Approach /p 37,38. The color of a medical oxygen xylinder6 is a black body with a white shoulder